O'Sullivan & Mahan criteria is used in :--
1. Gestational hypertension
2. Gestational diabetes mellitus
3. Rh incompatibility
4. Assessing progress of labour

Correct answer: 2. Gestational diabetes mellitus

Explanation: Diagnosis of Gestational Diabetes Mellitus (GDM ) is made following a 100 gm glucose load based on criteria laid down by O'Sullivan and Mahan.